Which presents as umbilicated papules-
1. Plain warts
2. Chickenpox
3. Herpes genitalis
4. Molluscum contagiosum

Correct answer: 4. Molluscum contagiosum